Intra pulpal anesthesia is a form of:
1. Pressure anesthesia.
2. Intraosseous anaesthesia
3. Superficial anaesthesia
4. None of the above

Correct answer: 1. Pressure anesthesia.